Most common cause of intracranial bleed is
1. Berry aneurysm
2. Hypertension
3. Coagulopathy
4. Diabetes mellitus

Correct answer: 2. Hypertension

Explanation: (B) Hypertension # INTRAPARENCHYMAL HEMORRHAGE (IPH) is one extension of intracerebral hemorrhage (the other is intraventricular hemorrhage (IVH)) with bleeding within brain parenchyma.> Intraparenchymal hemorrhage accounts for approx. 8-13% of all strokes and results from a wide spectrum of disorders. It is more likely to result in death or major disability than ischemic stroke or subarachnoid hemorrhage, and therefore constitutes an immediate medical emergency.> Intracerebral hemorrhages and accompanying edema may disrupt or compress adjacent brain tissue, leading to neurological dysfunction. Substantial displacement of brain parenchyma may cause elevation of intracranial pressure (ICP) and potentially fatal herniation syndromes.# Pathophysiology: Nontraumatic intraparenchymal hemorrhage most commonly results from Hypertensive damage to blood vessel walls E.g.: - Hypertension - Eclampsia - Drug abuse, but it also may be due to Autoregulatory dysfunction with excessive cerebral blood flow E.g.: Reperfusion injury - Hemorrhagic transformation - Cold exposure - Rupture of an aneurysm or arteriovenous malformation (AVM) Arteriopathy (E.g. cerebral amyloid angiopathy, moyama) - Altered hemostasis (E.g. thrombolysis, anticoagulation, bleeding diathesis) Hemorrhagic necrosis (E.g. Tumor, Infection) Venous outflow obstruction (E.g. Cerebral venous sinus thrombosis). Non penetrating and penetrating cranial trauma can be also common causes of intracerebral hemorrhage.